Renin is synthesized as a large preprohormone: Renin is secreted by which among the following?
1. PCT
2. DCT
3. Collecting duct
4. Juxtaglomerular apparatus

Correct answer: 4. Juxtaglomerular apparatus

Explanation: Ans. D. Juxtaglomerular apparatusActive renin:In the juxtaglomerular apparatus and is formed in the secretory granules of the granular cells. Only known function of its is to cleave the decapeptide angiotensin I from the amino terminal end of angiotensinogen i.e. renin substrate.